Products formed from alcohol and not intermediates of TCA cycle/glycolysis:
1. Acetaldehyde
2. Pyruvate
3. Lactate
4. Oxalate

Correct answer: 1. Acetaldehyde

Explanation: A i.e. Acetyldehyde